Preferred Investigation for diagnosing Acute Appendicitis in children?
1. USG
2. CECT
3. MRI
4. X - Ray

Correct answer: 1. USG

Explanation: *Graded compression Ultrasonography is the preferred initial imaging modality in the evaluation of Acute Appendicitis in children.